Stellate wound may be seen in which of the following bullet entry wounds.
1. Contact wound
2. Close shot
3. Distance shot
4. Two feet distance

Correct answer: 1. Contact wound

Explanation: A i.e. Contact wound